Which of the following drug is a third generation b-blocker?
1. Propanolol
2. Timolol
3. Nadolol
4. Nebivolol

Correct answer: 4. Nebivolol

Explanation: Ans. D. NebivololThird gen Blockers - B blocker with vasodilator property are useful for hypertension and CHFa. a Blockade- Labetalol, Carvedilolb. b2 Agonist- Celiprololc. Antioxidant- Carvedilold. NO donor- Nebivolole. Ca Channel Blocker- Carvedilolf. K Channel Blocker- Tilosolol